Which of the following is not true about Milan's criteria
1. Single tumor<5cm in size
2. 3 nodules <3 cm in size
3. >5 nodules
4. No extra hepatic disease

Correct answer: 3. >5 nodules

Explanation: Milan's criteria(Mazzafero) One nodule <5cm Two or three nodules all <3 cm No gross vascular invasion or extrahepatic spread Ref:Sabiston 20th edition Pgno :1458-1463